Criteria for grievous hurt are all EXCEPT:
1. Endanger to life
2. Permanent privation to eye/sight
3. Permanent disfiguration of face
4. Injured person admitted in hospital for 19 days

Correct answer: 4. Injured person admitted in hospital for 19 days

Explanation: Ans. (d) Injured person admitted in hospital for 19 days Ref: Legal Apptitude And Legal Reasoning For The Clat By Bhardwaj A. P136 Section for grievous hurt: IPC 320 The book states: uthe mere fact that the injured remained in hospital for 20 days would not be enough to conclude that he was unable to follow his ordinary pursuits during that. Continuance of severe body pain for 20 days or disability to follow ones avocation for 20 days constitutes grievous hurt" Criteria * Emasculation * Permanent privation of the sight of either eye * Permanent privation of hearing of either ear * Privation of any joint or permanent impairment of the power of any member of joint * Permanent disfiguration of head or face * Fracture or dislocation of bone or tooth * Any hurt which endangers life or which causes the sufferer to be admitted during the span of 20 days in severe body pain or unable to follow his ordinary pursuits.